A biopsy of the lower lip salivary glands showed replacement of parenchymal tissue by lymphocytes. The patient also had xerostomia and keratoconjunctivitis sicca. These findings are indicative of which of the following?
1. Lymphoma
2. Crohn’s disease
3. Mumps
4. Sjögren’s syndrome

Correct answer: 4. Sjögren’s syndrome

Explanation: This triad of signs defines primary Sjögren’s syndrome. The patient has secondary Sjögren’s syndrome if rheumatoid arthritis or other autoimmune disease is present